Which is the most common causative agent of cellulitis is:
1. Proteus
2. Klebsiella
3. Streptococcus
4. Pseudomonas

Correct answer: 3. Streptococcus

Explanation: Cellulitis refers to non suppurative invasive infection of tissues. It is usually caused by beta hemolytic streptococci, staphylococci and Clostridium perfringens. Tissue destruction and ulceration which follow cellulitis is usually caused by the release of streptokinase, hyaluronidase and other protease. In this, systemic signs such as SIRS, chills, fever and rigors are common. Systemic signs occur secondary to the release of exotoxins and cytokines into the circulation. Ref: Bailey and Love's Short Practice of Surgery, 24th edn, Page 122-3